blue grey discolouration of skin
1. chlorpromazine
2. risperisone
3. memantine
4. clozapine

Correct answer: 1. chlorpromazine

Explanation: chlorpromazine is a typical anti psychotic that has lot of mentioned side effects namely Blue grey discolouration of skin reverse lens granular deposits obstructive jaundice retrograde ejaculation REf. kaplon and sadock, synopsis of psychiatry, 11 th edition, pg no 925